An oral hypoglycemic agent used to treat obesity is:
1. Tolbutamide
2. Glipizide
3. Gliclazide
4. Metformin

Correct answer: 4. Metformin

Explanation: Ans. D: Metformin Agents used for treating obesity Orlistat reduces intestinal fat absorption by inhibiting pancreatic lipase. Orlistat may cause frequent, oily bowel movements (steatorrhea), but if fat in the diet is reduced, symptoms often improve. Sibutramine is an anorectic or appetite suppressant, reducing the desire to eat. Sibutramine may increase blood pressure and may cause dry mouth, constipation, headache, and insomnia. Rimonabant is a recently developed anti-obesity medication. It is cannabinoid (CB1) receptor antagonist that acts centrally on the brain thus decreasing appetite. It may also act peripherally by increasing thermogenesis and therefore increasing energy expenditure. In people with Diabetes mellitus type 2, the drug metformin can reduce weight. olestra is a sucrose polyester which can be used as a cooking medium in place of fat. Leptin analogues are under investigation.